Pansystolic murmur is present in all of the following cardiac conditions, EXCEPT:
1. MR
2. MS
3. VSD
4. TR

Correct answer: 2. MS

Explanation: Pansystolic murmurs are audible throughout systole from the first to second heart sounds. It is caused by regurgitation through incompetent atrioventricular valves and by ventricular septal defects. Murmur of mitral regurgitation is loudest at the cardiac apex and it radiates to the left axilla. Murmur of tricuspid regurgitation and ventricular septal defect are loudest at the left lower sternal edge. Early diastolic murmurs are high pitched and they start immediately after the second heart sound fading away in mid diastole. They are caused by regurgitation through incompetent aortic and pulmonary valves. Murmur of aortic regurgitation radiates from aortic area to the left sternal edge Pulmonary regurgitation murmur is heard at the pulmonary area. Ref: Hutchison's Clinical Methods: An Integrated Approach to Clinical Practice edited by William M. Drake section 3.